Which pathway does not generate ATPs
1. Kreb's cycle
2. β oxidation
3. Glycolysis
4. HMP Shunt pathway

Correct answer: 4. HMP Shunt pathway

Explanation: Shunt pathways do not generate any ATPs (O ATPs)